Diaphragm is developed from -
1. Ectoderm
2. Endoderm
3. Septum secundum
4. Septum transversum

Correct answer: 4. Septum transversum

Explanation: Ans. is 'd'i.e., Septum transversum Development of diaphramo Diaphragm develops from 4 structures derived from mesoderm which unite to form a sheet.1) Septum transversum Gives origin to sternal part and central tendinous region.2) Pleuroperitoneal membrane Dorsal paired portion.3) Dorsal mesentry of oesophagus Gives origin to crural part (Dorsal unpaired portion).4) Lateral body walls (from cervical myotome)Gives origin to peripheral costal portion of diaphragm.